All are Live vaccines except:-
1. Rabies
2. Influenza
3. Yellow fever
4. Rubella

Correct answer: 1. Rabies

Explanation: - Rabies is a killed vaccine. Hence option-1 is wrong. - Influenza vaccine can be live attenuated, killed as well as subunit vaccine.